Nerve injured in subcoracoid dislocation of humerus  is
1. Axillary nerve
2. Radial nerve
3. Brochial plexus
4. Median nerve

Correct answer: 1. Axillary nerve